Bronchopneumonia means
1. Inflammatory involvement of a lobe of a lung
2. Inflammatory involvement of the airways; the bronchus & the lung parenchyma
3. Dilatation of the bronchioles
4. Inflammatory involvement of the lymphatics

Correct answer: 2. Inflammatory involvement of the airways; the bronchus & the lung parenchyma

Explanation: Ans. b (Inflammatory involvement of the airways; the bronchus & the lung parenchyma).BRONCHOPNEUMONIA# It is multi focal, heterogenous inflammatory involvement of distal airways, thus distributed along the course of airways & patchy affection of lung parenchyma.# An Airbronchogram is usually absent & volume loss is common with occasional pneumatoceles.# Staphylococcus is a common bacteria causing bronchopneumonia.QLOBAR PNEUMONIA# It is usually unifocal & central in distal airspaces adjacent to the visceral pleura.# It spreads rapidly via the pores of Kohn across segmental boundaries producing a uniform consolidation in lung parenchyma.# It spares distal airways.# Streptococcus pneumoniae is the most common organism causing lobar pneumonia.# Klebsiella pneumoniae:- Friedlander's pneumonia- Causes a only small proportion of cases of Community acquired pneumonia- Lobar pneumonia ("bulging fissure" sign)--- Predisposing factors:* Alcoholism,* Diabetes &* COPD.# Rx:- Given both the undesirability of treating the latter strains with penicillins or cephalosporins and the quinolone resistance, empirical treatment of serious or health care-associated Klebsiella infections with amikacin, carbapenems, or tigecycline is prudent.- Polymyxin B can be considered for use against highly resistant strains but is an agent of last resort because of its potential toxicities.